A common structure in the Hesselbach's triangle and femoral triangle is -
1. Conjoint tendon
2. Inguinal ligament
3. Inferior epigastric artery
4. Rectus femoris

Correct answer: 2. Inguinal ligament

Explanation: Inguinal ligament forms the base of femoral triangle and also forms the inferior border of Hesselbach’s triangle.